Most common cardiac anomaly in Turnur's syndrome is ?
1. Coarctation of aorta
2. Bicuspid aortic valve
3. Veicular septal defect
4. Atrial septal defect

Correct answer: 2. Bicuspid aortic valve

Explanation: Turner syndrome is a condition usually associated with reduced final height, gonadal dysgenesis, and thus insufficient circulating levels of female sex steroids, and infertility. A number of other signs and symptoms are seen more frequently with the syndrome. With respect to cardiac function, congenital malformations of the heart and the great vessels, hypertension and ischemic heart disease, and increased risk of aortic dissection, bicuspid aortic valve. Cardiovascular complications in (16%) and are often described and may occur in isolation from any heart disease, suggesting a vasculopathy specific to the syndrome, probably predisposed to by extracardiac risk factors such as Reference: GHAI Essential pediatrics, 8th edition